Plasma volume is best evaluated by using?
1. Evan blude
2. Inulin
3. Mannitol
4. Radoplabelled water

Correct answer: 1. Evan blude

Explanation: Plasma volume is measured using dyes like Evans blue that binds specifically to plasma proteins. (Ref: Textbook of physiology N Geetha 2 nd edition page no.62)